A 45 yrs old lady with DUB has 8 mm thick endometrial echo. What should be done for her?
1. Hysterectomy
2. Start Progesterone therapy
3. Histopathological examination of the curettage
4. Follow up sonography

Correct answer: 3. Histopathological examination of the curettage

Explanation: Ans. C. Histopathological examination of the curettageIn lady with DUB has 8mm thick endometrial echo, D&C should be done and Histopathological examination of the curettage should be awaited for planning the further management.